Thalidomide is used in treatment of all, EXCEPT:
1. Multiple myeloma
2. DLE
3. AML
4. Malaria

Correct answer: 4. Malaria

Explanation: Thalidomide is currently used in the treatment of multiple myeloma at initial diagnosis and for relapsed-refractory disease. Patients generally show signs of response within 2-3 months of starting the drug, with response rates from 20% to 70%. When combined with dexamethasone, the response rates in myeloma are 90% or more in some studies. Many patients have durable responses--up to 12-18 months in refractory disease and even longer in some patients treated at diagnosis. The success of thalidomide in myeloma has led to numerous clinical trials in other diseases such as myelodysplastic syndrome, acute myelogenous leukemia, and graft-versus-host disease, as well as in solid tumors like colon cancer, renal cell carcinoma, melanoma, and prostate cancer, with variable results to date. Thalidomide has been used for many years in the treatment of some manifestations of leprosy and has been reintroduced in the USA for erythema nodosum leprosum; it is also useful in management of the skin manifestations of lupus erythematosus. Ref: Katzung 11th edition, Chapter 61.